All of the following are true in respect of angioneurotic edema EXCEPT?
1. It is caused by deficiency of complement proteins
2. It manifests as pitting edema
3. It is more common in females
4. It is an autosomal dominant disorder

Correct answer: 2. It manifests as pitting edema

Explanation: Angio-neurotic edema is a localized non-pitting edema involving deeper layers of the skin and subcutaneous tissue. It is an autosomal dominant clinical condition caused by a deficiency of Cl inhibitor protein (a complement regulatory protein) and associated with elevated levels of bradykinin. It is more common in females
• Diagnosis of hereditary angioedema is suggested by the presence of lack of pruritus and urticarial lesions, prominence of recurrent gastrointestinal attacks of colic and episodes of laryngeal edema. The levels of complement proteins Cl is normal but levels of C2 and C4 are depleted.
• Danazol is the drug which can be used for hereditary angioedema.